A patient in ATT develops tingling on lower limb. Which of the following drugs should be used?
1. Pyridoxine
2. Thiamine
3. Folic acid
4. B12

Correct answer: 1. Pyridoxine

Explanation: ANS. A# Specific side effect of ATTINH1. Hepatotoxicity2. Pyridoxine deficiency(For prophylaxis--give 10 mg/day and for treatment--give 100 mg/day)3. Central nervous system (CNS) effects: Memory loss, psychosis, seizures4. Systemic lupus erythematosus (SLE)5. Shoulder hand syndrome6. Cheese reactionRifampicin1. Purpura2. Hepatotoxicity3. Orange colored urine4. Respiratory complicationsPyrazinamide1. Hepatotoxicity2. HyperuricemiaEthambutol1. Optic neuritis2. Hyperuricemia# Newer drugs for MDR TB1. Bedaquiline (ATP synthase inhibitor)2. Delamanid (ATP synthase inhibitor)3. Pretomanid (ATP synthase inhibitor)4. Sutezolid (Linezolid derivative for MDR TB)